When an individual is resting in a room with the air temperature 21°C and the humidity of 80%, the greatest amount of heat loss from the body is by
1. Elevation of body metabolism
2. Vaporisation of sweat
3. Respiration
4. Radiation and conduction

Correct answer: 4. Radiation and conduction

Explanation: The most important mechanism for heat loss when the environmental temperature is higher than the body temperature- Sweating
The most important mechanism for heat loss when the environmental temperature is lower than the body temperature- Radiation and conduction